Hypertensive crises in younger children are usually secondary to an underlying disease. Commonest cause of systemic hypertension in children is:
1. Coarctation of aorta
2. Acute glomerulonephritis
3. Nephrotic syndrome
4. Lactic acidosis

Correct answer: 2. Acute glomerulonephritis

Explanation: Renal disease is the most common cause of secondary hypertension in children. They include, Glomerulonephritis HUS Chronic infections Obstructive lesions Renal vascular disease Other causes: Endocrine causes of hypertension include, Tumors that secrete vasoactive peptides (pheochromocytoma) Abnormal levels of endogenous steroid hormones (Cushing syndrome) Adrenocortical steroid therapy Hyperthyroidism Congenital heart disease such as coarctation of the aorta Elevated intracranial pressure Exogenous medications or toxins Ref: Koerner C.E. (2011). Chapter 128. Renal Emergencies in Infants and Children. In J.E. Tintinalli, J.S. Stapczynski, D.M. Cline, O.J. Ma, R.K. Cydulka, G.D. Meckler (Eds), Tintinalli's Emergency Medicine: A Comprehensive Study Guide, 7e.